The lower border of the lung is upto which level of the rib at the mid-axillary line
1. 6
2. 8
3. 10
4. 12

Correct answer: 2. 8

Explanation: The lower border of lung crosses 6th rib in midclavicular line,8th rib in mid-axillary line 10th rib at the lateral border of erector spinae.